The following ocular structure is not derived from surface ectoderm –
1. Crystalline lens
2. Sclera
3. Corneal epithelium
4. Epithelium of lacrimal glands

Correct answer: 2. Sclera

Explanation: Sclera is derived from mesoderm.
Crystalline lens, corneal epithelium and lacrimal gland are derived from surface ectoderm.